Karyotyping of foetus may be done from all of the following EXCEPT:
1. Lymphocyte
2. Monocyte
3. Amniocyte
4. Fibroblast

Correct answer: 2. Monocyte

Explanation: For Karyotyping, the cell needs to be arrested in the Metaphase stage for separating the chromosomes. The monocytes do not divide and therefore, they cannot be used for Karyotyping).